Which index is used in relation to Hookworm infestation -
1. Quetelet's index
2. Chandler's index
3. Soiling index
4. Broca's index

Correct answer: 2. Chandler's index

Explanation: Ans. is 'b' i.e., Chandler's index o Has been explained in previous sessions